A patient of acute myocardial infarction being treated in intensive care unit developed left ventricular failure with raised central venous pressure. Doctor on duty decided to use nitroglycerine. Which route of administration would be most suitable?
1. Sublingual
2. Oral
3. Intravenous bolus injection
4. Slow intravenous infusion

Correct answer: 4. Slow intravenous infusion

Explanation: Nitrates can be used in acute LVF by slow i.v. infusion -- affords rapid relief in acute LVF, particularly that due to myocardial ischaemia/infarction. It is indicated when the central venous pressure (CVP) is raised and in dilated cardiomyopathy. Vasodilators were first used I.V. to treat acute heart failure that occurs in advanced cases or following MI. Nitrates decreases Preload > After load.